Acute and transient psychotic disorder, onset of symptoms ?
1. < 1 weeks
2. < 2 weeks
3. < 3 weeks
4. < 4 weeks

Correct answer: 2. < 2 weeks

Explanation: Ans. is 'b' i.e., < 2 weeks Acute and transient psychotic disorder These psychotic disorders are characterized by an abrupt (less than 48 hours) or an acute (Less than 2 weeks) onset of symptoms. Three types have been recognized (according to ICD-10). Acute polymorphic psychotic disorder without symptoms of schizophrenia : - Hallucinations, delusions, and other psychotic symptoms are present and are varied and constantly changing, just like emotional status. None of them is consistent as to qualify for a diagnosis of schizophrenia. The polymorphic and unstable picture is characteristic of illness . Acute polymorphic psychotic disorder with symptoms of schizophrenia : - Polymorphic and unstable symptoms occur along with consistent symptoms of schizophrenia. Acute schizophrenia - like psychotic disorder : - Except for acute and shorter duration of symptoms they resemble schizophrenia in total. Symptoms occur for less than lmonth. Under DSM IV classification, it is classified as brief psychotic disorder.